The serum concentration in which of the following human IgG subclasses is maximum?
1. IgG1
2. IgG2
3. IgG3
4. IgG4

Correct answer: 1. IgG1

Explanation: IgG 1 - 65%, IgG2- 23%. IgG3 -8% IgG4 - 4%